JSB stain is used for which parasite ?
1. Malaria
2. Filaria
3. Kala azar
4. Sleeping sickness

Correct answer: 1. Malaria

Explanation: Ans. is 'a' i.e., Malaria JSB (Jaswant-Singh-Bhattacherji) stain is a fairly rapid staining method for the detection of malarial parasites. This stain is superior to the field's stain because the parasites stain clearer and both thick and thin smears can be stained. However, preparations fade quite rapidly and this stain is, therefore, not recommended when permanent slides are desired. Stains used for staining malarial smears A number of Romanowsky stains are used for example Field's, Giemsa's, Wright's and Leishman's. For thick smear, the stains used are : (i) Field's or (ii) Giemsa's. For thin smear, the stains used are (i) Giemsa's or (ii) Leishman's. JSB stain is used for both thick and thin smears, and is the standard method used by laboratories under the National Malaria Eradication Programme in India.